Most effective treatment for Hirsutism is
1. Metformin
2. Lowdose OCPs
3. Spironolactone
4. Danazol

Correct answer: 2. Lowdose OCPs

Explanation: Low-dose OCPs are most effective treatment for Hirsutism.